Which of the following condition is associated with cholestasis and butterfly shaped vertebra?
1. Williams syndrome
2. Alagille syndrome
3. Holt Oram syndrome
4. Turner syndrome

Correct answer: 2. Alagille syndrome

Explanation: Ans. B. Alagille syndromeCholestasis with butterfly shaped vertebra is associated with the Alagille syndrome; cause is mutation in the jagged 1 gene. It has an autosomal dominant inheritance.